Absolute contraindication for Thiopentone sodium is\
1. Respiratory depression
2. Acute intermittent porphyria
3. Liver failure
4. Pregnancy

Correct answer: 2. Acute intermittent porphyria

Explanation: (B) Acute intermittent porphyria # ThiOPENTONE SODIUM - Contraindications: Thiopentone sodium is contraindicated in history of Barbiturate hypersensitivity.> Acute intermittent porphyria (cause LMN paralysis or CVS collapse); Anticipated airway obstruction.> Fixed cardiac output states> Shock, Hepatic/Renal dysfunction> Asthmatic/Myxoedema> Adrenocortical failure> Myotonia dystrophia> Extremes of age